Radiological finding in ileal atresia – a) Microcolon on Ba enemab) Double bubble signc) Coil spring appearance in Ba-Enemad) Obstruction in Ba meal
1. b
2. c
3. ad
4. ab

Correct answer: 3. ad

Explanation: Radiological features of ileal - atresia are multiple bubble sign (not double bubble), obstruction on barium meal, microcolon on barium meal, Apple-peel appearance.